Human Development Index is
1. Infant mortality, Longevity and Income
2. Knowledge, Longevity and Income
3. Infant mortality, Health infrastructure and Income
4. Environment, Longevity and Income

Correct answer: 2. Knowledge, Longevity and Income

Explanation: Ans. b (Knowledge, Longevity and Income). (Ref. Park PSM 22nd /pg. 16).# HUMAN DEVELOPMENT INDEX- Consist of three dimensions:- Longevity (life expectancy at birth);- Knowledge (Adult literacy rate and mean years of schooling); and- Income (real GDP per capita in purchasing power).- The HDI ranges between 0 to 1.- In India HDI is 0.602# PHYSICAL QUALITY OF LIFE INDEX (PQLI)- Consists of:- Infant mortality,- Life expectancy at age one, and- Literacy.- National and international comparison can be done- Kerala has highest PQLI# KUPUSWAMY INDEX- Kupuswamy index of social classification includes:# Education# Occupation# Income# SULLIVAN'S INDEX- This index (expectation of life free of disability is computed by subtracting from life expectancy the probable duration of bed disability and inability to perform major activities.- It is considered one of the most advanced indicators/measures of disability rate, currently available.# DALY (Disability Adjusted Life Years)- Measure of burden of disease in defined population and effectiveness of intervention.- 1 DALY = 1 lost year of healthy life.- HALE (Health Adjusted Life Years)- It consists of life expectancy at birth and adjustment of time spent in poor health.